Punnet’s square is used for
1. Random sampling
2. statistical analysis
3. finding genotype of offspring
4. Test of significance

Correct answer: 3. finding genotype of offspring

Explanation: PUNNETT SQUARE

Is a diagram that is used to predict the result of a cross/breeding experiment
Is representing summary of every possible combination of each maternal allele with paternal allele for each gene studied in square
Is used by biologists ‘to determine the probability of an offspring having a particular genotype’
Can be used for both monohybrid and dihybrid cross
Are standard tools for genetic counsellors

Typical example of a Punnett square: